G.P. is plasticized (softened) by
1. Alcohol
2. Chloroform
3. Eugenol
4. EDTA

Correct answer: 2. Chloroform